Diarrhea (loose stools) is side effect of:
1. Omeprazole
2. Sucralfate
3. Metoclopramide
4. Misoprostol

Correct answer: 4. Misoprostol

Explanation: Misoprostol is a prostaglandin analogue which inhibit acid secretion.The primary indication is the prevention and treatment of NSAID associated gastrointestinal injury and blood loss. Major problems in the use of misoprostol are diarrhoea,abdominal cramps,uterine bleeding,abortion and need for multiple doses. ESSENTIALS OF MEDICAL PHARMACOLOGY 7TH EDITION KD TRIPATHI Page No:654